Thyroid storm; True is
1. Common in inadequately prepared patient for surgery, accompanied by excess release of thyroid hormone.
2. Tachycardia, hyperpyrexia, dehydration and hyperexcitability is seen.
3. Condition of hyperthyroidism accompanied by fever, CNS agitation or depression.
4. All of the above

Correct answer: 4. All of the above